Gingival fiber group which inserts in two adjacent teeth
1. Horizontal
2. Circular
3. Transeptal
4. Oblique

Correct answer: 3. Transeptal